Urban malaria scheme is based on -
1. Epidemiology surve
2. Anti-adult measures
3. Anti-larval measures
4. None

Correct answer: 3. Anti-larval measures

Explanation: Ans. is 'c' i.e., Anti-larval measures The Urban malaria scheme was launched in 1971 under National Malaria Eradication programme with the aim to reduce the vector population in urban area through recurrent antilarval measures. o The main aim is the reduction of the disease to a tolerable level in which the human population can he protected from malaria transmission with the available means. o The urban malaria scheme aims at ? a) To prevent death due to malaria. b) Reduction of transmission and morbidity. o Norms include ? a) Town should have a minimum population of 50,000. b) The API should be 2 or above. c)The towns should promulgate and strictly implement the civic by laws to prevent/eliminate domestic and peridomestic breeding places. o Under the scheme, malaria control strategy comprise of - 1) Prasite control :- Treatment through passive agencies, e.g. hospitals, dispensaries both in private & public sectors. 2) Vector control :- It includes a) Source reduction :- Reduction of breeding places. b) Use of larvicides. c) Use of larvivorous fish Gambusia fish d) Space spray.